The resting membrane potential of cardiac muscle is:
1. -90
2. -60
3. -70
4. All

Correct answer: 1. -90

Explanation: The resting membrane potential of cardiac muscle is:-90 Ref:Guyton and Hall textbook of medical physiology 12th edition,page number:81